Antagonism between acetylcholine and atropine is:
1. Competitive antagonism
2. Physiological antagonism
3. Non-competitive antagonism
4. None of the above

Correct answer: 1. Competitive antagonism